Harup disease causes deficiency of ?
1. Nicotinamide
2. Thiamine
3. Riboflavin
4. Biotin

Correct answer: 1. Nicotinamide

Explanation: Ans. is 'a' i.e.,Nicotinamide Hartnup diseaseIt is an inherited disorder in the metabolism of tryptophan.It is due to defective transport of tryptophan and other neutral amino acids in the intestine and kidney.This results in deficiency of tryptophan leading to decreased synthesis of niacin and serotonin.Thus there are pellagra (niacin deficiency), neurological symptoms (serotonin deficiency) and amino aciduria due to defective transport of amino acids in kidney.Note : Niacin is a general name for the nicotinic acid and nicotinamide, either of which may act as a source of vitamin in the diet